Peau d' orange is due to -
1. Secondary infection
2. Blockage of subdermal lymphatics
3. Invasion of skin with malignant cells
4. Arterial obstruction

Correct answer: 2. Blockage of subdermal lymphatics

Explanation: Peaud's orange is produced due to obstruction of superficial lymph vessels by cancer cells. This causes edema of the skin giving rise to an appearance like that of the skin of an orange (Peau'd orange appearance) Ref - Srb's manual of surgery 5e p534